Werner syndrome is characterized by:
1. Defect in DNA polymerase & impaired cell replication
2. Defect in telomerase & predisposition to cancer
3. Defect in transcription with accumulation of abnormal proteins
4. Defect in DNA helicase & premature aging

Correct answer: 4. Defect in DNA helicase & premature aging

Explanation: Defect in DNA helicase & premature aging